The commonly used laser for curing composite resin is
1. Nd:YAG
2. CO2
3. ER:YAG
4. Argon

Correct answer: 4. Argon